The clasp most often used on the mandibular bicuspids when the most favorable retentive undercut is on the distobuccal surface adjacent to edentulous area is
1. Ring clasp
2. Reverse loop clasp
3. Simple circlet clasp
4. Reverse approach circlet clasp

Correct answer: 4. Reverse approach circlet clasp